Patient on antipsychoties for 3 weeks, presents with high grade fever, raised CPK and myoglobinuria. What is the most probable diagnosis?
1. Neuroleptic malignant syndrome
2. Tardive dyskinesia
3. Acute dystonia
4. Akathisia

Correct answer: 1. Neuroleptic malignant syndrome

Explanation: Ans. is 'a' i.e., Neuroleptic malignant syndrome Features of neuroleptic malignant syndromeo Marked muscular rigidityo Disturbed consciousnesso Increased CPKo High fevero Catatonia & stuporo Myoglobinemia & Myoglobinuriao Autonomic instability(| HR & BP, Sweating)o Leucocytosis